The root of maxillary lateral incisors if curved is usually in which direction?
1. Distal
2. Mesial
3. Facial
4. Palatal

Correct answer: 1. Distal